All are type II hypersensitivity reaction except:
1. Steven Johnson's syndrome
2. Drug induced hemolytic anemia
3. Drug induced thrombocytopenia
4. Hemolytic disease of newborn

Correct answer: 1. Steven Johnson's syndrome

Explanation: Ans. A: Steven johnson's syndrome